After taking some drug for acute attack of migraine a patient developed nausea and vomiting he also develop tingling and numbness in the tip of the finger that also turn blue which of the following is the most likely drug implicated in causing the above finding
1. Dihydroergotamine
2. Sumatriptan
3. Aspirin
4. Butarphanol

Correct answer: 1. Dihydroergotamine

Explanation: This is a classical sign of ergot induced vasoconstriction.dihydroergotamine can be used for acute attack of migraine and can result in the this symptoms. due to their vasoconstrictive potential, ergot alkaloids are contraindicated in a patient with peripheral vascular disease this may also lead to development of gangrene. Refer katung 11/e p289